Beal's syndrome is caused due to a defect in which of the following gene?
1. Fibrillin-1 GENE
2. Elastin
3. Lamillin
4. Fibrillin-2

Correct answer: 4. Fibrillin-2

Explanation: Mutation in fibrillin-2 gene have been linked to beal's syndrome whereas fibrillin-1 gene mutation causes marfan's syndrome. Ref: Management of genetic syndrome by Suzanne B. Cassidy, Judith E. Allanson, Page 513